Which of the following statements about 21 alpha hydroxylase deficiency is false -
1. Most common cause of congenital adrenal hyperplasia in children
2. Affected females present with ambiguous genitalia
3. Affected males present with precocious puberty
4. Hypokalemic alkalosis is seen

Correct answer: 4. Hypokalemic alkalosis is seen

Explanation: Ans. is 'd' i.e., Hypokalemic alkalosis is seen In congenital adrenal hyperplasia due to 21 alpha hydroxylase deficiency, there is hyperkalemia (not hypokalemia). o All other options have been explained.